Cause of B/L recurrent laryngeal nerve palsy are -a) Thyroid Cab) Thyroid surgery c) Bronchogenic cancer d) Aortic aneurysm
1. ac
2. a
3. ab
4. bc

Correct answer: 3. ab

Explanation: Causes of bilateral recurrent laryngeal nerve paralysis are Thyroid surgery, Carcinoma thyroid, cancer cervical esophagus, cervical lymphadenopathy.